True regarding follicular carcinoma of thyroid
1. Hematogemous spread
2. Commonly multifocal
3. Readily diagnosed by fnac
4. Most commonly carcinoma of thyaoid

Correct answer: 1. Hematogemous spread